What is the mass chemoprophylaxis for meningococcal meningitis ?
1. Rifampicin
2. Chloramphenicol
3. Tetracycline
4. Penicillin

Correct answer: 1. Rifampicin

Explanation: Recommended Chemoprophylaxis for High-Risk Close Contacts: Age Dose Duration Cautions RIFAMPICIN: <1 month 5 mg/kg Oral every 12 hrs 2 days >1 month 10 mg/kg Oral every 12 hrs 2 day Not recommended for use in pregnancy CEFTRIAXONE: <15 years 125mg IM single dose >15 years 250 mg IM single dose CIPROFLOXACIN >18 years 500 mg Oral single dose Not recommended for use in pregnancy ref : park 21st ed